All of the following drags are used for managing status epilepticus except :
1. Phenytoin
2. Diazepam
3. Thiopentone sodium
4. Carbamazepine

Correct answer: 4. Carbamazepine

Explanation: Answer is D (Carbamazepine) : Carbamazepine is the most effective drug for complex partial seizures and shares first choice drug status with phenytoin for generalized tonic clonic seizures and simple partial seizures. It is however not indicated in status epilepticus. Anticonvulsant therapy therapy for status epilepticus : (KDT 5th/378) First choice drugs Second choice drugs Alternative / Add on drugs Diazepam (I.V.) Phenytoin (I.V.) General Anaesthetic e.g. Clonozepam (I.V.) Phenobarbitone (I.V. I.M.) Thiopentone sodium (KDT Lorazepam (I.V.) Thiopentone sodium can occasionally be used for rapid control of convulsions - KDT